Radionucleide of choice for the assessment of renal function?
1. MIBG
2. DTPA
3. Thallium
4. Sulphur

Correct answer: 2. DTPA

Explanation: Ans: b (DTPA) Ref: Bailey, 24th ed, p. 129999Tc DTPA (diethyl triamino penta acetic acid)Useful to assess the functional status of kidney.DTPA behaves like inulin: completely filtered by the glomeruli, and not absorbed by the tubules. On using a gamma camera the dynamic action of kidney can be assessed.Other substances used are -M AG3, DMSA, and hippuran.Radionuclide scans and their uses. * DTPA - dynamic function of kidney.* Tc labeled RBC- splenic diseases* DMSA -cortical function* PET scan-functional brain imaging* Orthohippurate - renal plasma flow.* Tc pyrophosphate-acute MI, hot spots.* 99Tc HID A scan - acute cholecystitis* 99Tc MDP-bone imaging* Selenium+I131 - thyroid* Gallium tumours* Tc-thallium substraction scan-parathyroid* Xenon gas-ventilation-perfusion scan* Selenium - pancreas* 99Tc arcitumumab-colorectal cancer.* I131 I132. -Placenta* MUGA scan-ventriculography.